Trantas spots are seen in:
1. Biephroconjunctivitis
2. Vernal conjunctivitis
3. Phlyctenular conjunctivitis
4. Herpetic keratitis

Correct answer: 2. Vernal conjunctivitis

Explanation: Vernal conjunctivitis